Which vitamin deficiency causes methylmalonic aciduria?
1. Vitamin B1
2. Vitamin B12
3. Vitamin B6
4. Vitamin B5

Correct answer: 2. Vitamin B12

Explanation: Ans. is 'b' i.e., Vitamin B12 * Methylmalonyl-CoA is accumulated and excreted in urine as methylmalonic acid (methylmalonate) in vitamin B12 deficiency, i.e. methylmalonic aciduria.